Collimating the X-ray beam reduces the formation of
scattered radiation by
1. Selective removal of soft radiation
2. Selective removal of hard radiation
3. Reducing the size of X-ray beam
4. Reduction of beam intensity by 50%

Correct answer: 3. Reducing the size of X-ray beam